Reactive arthritis is usually caused by
1. Shigella flexneri
2. Shigella boydii
3. Shigela shiga
4. Shigela dysentriae

Correct answer: 1. Shigella flexneri

Explanation: Ans. is 'a' i.e., Shigella Flexneri Organisms that have been associated with ReiterArthritis include the following: C trachomatis (L2b serotype) Ureaplasma urealyticum Neisseria gonorrhoeae Shigella flexneri Salmonella enterica serovars Typhimurium Mycoplasma pneumoniae Mycobacterium tuberculosis Yersinia enterocolitica and pseudotuberculosis Campylobacter jejuni Clostridium difficile Beta-hemolytic (example, group A) and viridans streptococci